All of the folloiwng statements about Ranolazine are true, except;
1. Piperazine derived antianginal agent
2. May be used as first line agent in chronic angina
3. May improve glycemic control
4. Hypotension is an established adverse effect

Correct answer: 4. Hypotension is an established adverse effect

Explanation: Ans. is 'd' i.e., Hypotension is an established adverse effect Ranolazine is an effective newer anti-anginal drug but unlike CCBs and beta-blockers it does not significantly alter the heart rate or blood pressure. It is a piperazine derivative. o Ranolazine appears to have other promising non-anginal effects, including glycemic control, improvement in endothelial function and decreases the incidence of atrial fibrillation and other arrhythmias. o Ranolazine has been generally well tolerated in clinical trials its most common adverse effects are nausea, constipation and dizziness. About option b o Most of the text books have mentioned that ranolazine can be used as add-on therapy in chronic stable angina. o However, it has recently been approved as first line agent: " Previously limited by its FDA indication to use in angina in combination with a calcium channel blocker, beta blocker or nitrate; ranolazine is now approved for use as a first line agent in chronic angina". .. The Heart. org.